Growing fetus derives energy from?
1. Amino acid
2. Carbohydrate
3. Lipid
4. Minerals

Correct answer: 2. Carbohydrate

Explanation: Ans. (b) CarbohydrateRef: OP Ghai 8th ed./8-9* In order to supply the fetus with energy, the pregnant woman increases her hepatic glucose production by 16-30%. The transfer of glucose from the maternal circulation to the fetus takes placeby facilitated diffusion involving glucose transporter 1. (GLUT1)* A considerable part of the trans-placentally transferred glucose is used by the fetal brain. Although enzyme systems that are necessary for glucose production (gluconeogenesis) develop early, the fetus only produces its own glucose under extreme condition such as during maternal starvation.